Mechanism of action of quinolones is :
1. DNA gyrase inhibitors
2. Bind to 30 S unit of ribosomes and inhibit protein synthesis
3. Bind to bacterial cell membrane
4. Bind to tetra hydro folate reductase

Correct answer: 1. DNA gyrase inhibitors